Most potent anti-leprotic drug is:
1. Rifampcin
2. Dapsone
3. Clofazimine
4. Norflox

Correct answer: 1. Rifampcin

Explanation: A i.e. Rifampcin